Rapid infusion of insulin causes
1. Hyper kalemia
2. Hypokalemia
3. Hypernatremia
4. Hyponatremia

Correct answer: 2. Hypokalemia

Explanation: B i.e. Hypokalemia Insulin promotes the transport of K+ (potassium) and phosphate (PO4) into cells leading to hypokalemia and hypophosphatemiaQ, (i.e. L K+ & . Effect of Insulin on K+ and PO43- - Insulin increases the transport of potassium (K+) from plasma into cells by stimulating the Na+-K+ - ATPase pumps in cell membranes of muscle, liver and adipocytes. This results in lowering of plasma (extracellular) K+ concentration i.e. hypokalemiaQ. - Infusions of insulin (and glucose) significantly lower the plasma K+ levels in normal individuals and are used for temporaty relief of hyperkalemia in patients with renal failure, waiting for dialysis. - Hypokalemia often develops when patients with diabetic acidosis are treated with insulin. - Insulin induces rapid entery of glucose into cells, a process which is followed by phosphorylation reaction in glycolytic pathway, lowering the intracellular concentration of inorganic phosphate, and therefore promotes phosphate (P03-4) entry into cells. This is how insulin 1/t hypophosphatemia (decrease plasma /ECF PO43-)